Most sensitive parameter in monitoring iodine deficiency control programme is:
1. Goitre
2. Urine T3.T4
3. Growth retardation
4. Neonatal hypothyroidism

Correct answer: 4. Neonatal hypothyroidism

Explanation: Ans: D (Neonatal hypothyroidism) Ref: Park's Preventive and Social Medicine, 22nd edition. Pg 579Explanation:Iodine level in salt at consumption level 15 ppm.Iodine level in salt at production level 30 ppmIodine oil injection will provide protection for 4 years.Sensitive indicator for consumption of appropriate level of iodine is urine level of iodine.Any area is said to be endemic to IDD. if prevalence of goiter is >10% among general population or >5% among school going children or median iodine excretion is <100mg/I.RD.A- 150 m gram.Most sensitive parameter in monitoring iodine deficiency control programme is - Neonatal hypothyroidism.